Which of the following property(ies) is/are seen in the members of family Enterobacteriaceae?
1. They are catalase-positive
2. They are oxidase-negative
3. They ferment glucose
4. All are true

Correct answer: 4. All are true

Explanation: All the above options are true for the members of family Enterobacteriaceae. Enterobacteriaceae properties: Gram-negative, aerobes and facultative anaerobic bacilli. Nonfastidious. Ferment glucose. Reduce nitrate to nitrite. Oxidase test negative. Catalase positive (except Shigella dysenteriae type-1). Motile, except Shigella and Klebsiella. Natural habitat: Human intestine, called coliform bacilli.